Which of the measurement correlates with the sub occipitofrontal diameter of fetal skull?
1. 9.4 cm
2. 10 cm
3. 11.3 cm
4. 12 cm

Correct answer: 2. 10 cm

Explanation: Sub Occipitofrontal diameter is measured from below the occipital protuberance to the centre of the sinciput. It measures 10cm. It is the diameter which distends the vulva in a normal vertex presentation. Diameters of fetal skull: Occipitofrontal: It follows a line extending from a point just above the root of the nose to the most prominent portion of the occipital bone. 11.5cm Biparietal : It is the greatest transverse diameter of the head, which extends from one parietal boss to the other. 9.5cm. Bitemporal: It is the greatest distance between the two temporal sutures. 8cm. Occipitomental: It extends from the chin to the most prominent portion of the occiput. 12.5cm. Suboccipitobregmatic: It follows a line drawn from the middle of the large fontanel to the undersurface of the occipital bone just where it joins the neck. 9.5cm. Ref: Midwifery By Pauline M. Sellers pag 111. , Cunningham F.G., Leveno K.J., Bloom S.L., Hauth J.C., Rouse D.J., Spong C.Y. (2010). Chapter 4. Fetal Growth and Development. In F.G. Cunningham, K.J. Leveno, S.L. Bloom, J.C. Hauth, D.J. Rouse, C.Y. Spong (Eds), Williams Obstetrics, 23e.